Bronchopulmonary segments in right and left lungs are
1. 9 and 11
2. 11 and 9
3. 10 and 10
4. 8 and 10

Correct answer: 3. 10 and 10

Explanation: THE BRONCHOPULMONARY SEGMENTS - These are well-defined sectors of the lung, each one of which is aerated by a tertiary or segmental bronchus. Each segment is pyramidal in shape with its apex directed towards the root of the lung. There are 10 segments on the right side and 10 on the left Ref : B D Chaurasia's Human Anatomy, seventh edition, volume 1 , pg. no. 251 ( table 16.3 )